Floppy baby syndrome occurs due to fetal exposure to
1. Warfarin
2. Valproate
3. Phenytoin
4. Lithium

Correct answer: 4. Lithium

Explanation: Adverse effects of lithium Nephrogenic Diabetes Insipidus Hypothyroidism ECG Changes Reversible elevation of T waves Fine Tremor(MC) Nausea , Loose Stools Leucocytosis Teratogenecity: Fetal Li+ exposure is associated with Neonatal goiter, CNS depression, Hypotonia ("floppy baby" syndrome) Ebstein's anamoly